An 80 year old female presents with progressive loss of memory, difficulty in recalling names, difficulty in speech and inability to perform desired tasks.Which of the following pathological features is likely to be found along with neurofibrillary tangles :
1. Beta Amyloid
2. Lewy bodies
3. Ceramidase
4. Pick's bodies

Correct answer: 1. Beta Amyloid

Explanation: Answer is A (Beta Amyloid): Beta- Amyloid protein is associated with Alzheimer's disease along with Neurofibrillary tangles Progessive loss of cognitive function (loss of memory), aphasias (difficulty in recalling names), impaired language (difficulty in speech) and apraxia (inability to perform desired tasks) together with the presence of Neurofibrillary tangles suggest a diagnosis of cortical dementia of the Alzheimer's type. Pathological features of Alzheimer's disease include Neurofibrillary tangles (NFT) and Neuritic plaques containing beta amyloid proteins.